Widal test is specific for:
1. Plague
2. Leprosy
3. Pemphigoid
4. Typhoid

Correct answer: 4. Typhoid